Hyperaldosteroism is -
1. Metabolic acidosis
2. Metabolic alkalosis
3. Respiratory acidosis
4. Respiratory alkalosis

Correct answer: 2. Metabolic alkalosis

Explanation: metabolic alkalosis are caused by hydrogen ion loss into urine and migration into potassium depleted cells ( Harrison 17 2260)